All are true regarding typhoid ulcer except ?
1. Perforation is less common in children below 5yrs
2. Placed transversely along the ileum
3. Multiple ulcer found in terminal ileum
4. Perforation occurs in 3rd week

Correct answer: 2. Placed transversely along the ileum

Explanation: Ans. is 'b' i.e., Placed transversely along the ileumo Typhoid ulcers are placed longitudinally along the ileum.o On the other hand. Tubercular ulcers are placed transversely along the ileum (Mnemonic: (neck) tie lies longitudinal on body).Features of Tvhoid ulcer ?Salmonella typhi primarily affects the ileum and colon, the terminal ileum is affected most often. o The peyer's patches show ovoid ulcers with their long axes along the axis of the ileum (remember that in intestinal tuberculosis, the ulcers are transverse to the axis of the bowel).o The margins of the ulcer are slightly raised, and the base of the ulcers is base black due to sloughed mucosa.o Though the enteric fever is an example of acute inflammation neutrophils are invariably absent from cellularinfiltrate and this is reflected in leucopenia with neutropenia and relative lymphocytosis in peripheral blood. Thecellular infiltrates in typhoid consists of phagocytic histiocytes, lymphocytes and plasma cells.Complications of Typhoid ?The most common complications of Typhoid are perforation and hemorrhage.There is never significant fibrosis in case of typhoid, hence stenosis seldom occurs in healed typhoid lesions. (strictures are common features of intestinal Tuberculosis).